Which of the following is the first line drug for mastitis?
1. Cloxacillin
2. Cefazolin
3. Ampicillin
4. Metronidazole

Correct answer: 1. Cloxacillin

Explanation: * Breast abscess - More common in lactating females * M/C Organism - Staph. Aureus * Management - Incision and drainage + Anti-Biotics: Cloxacillin (or) Dicloxacillin (10- 14 day)